Atria mortis other name for ?
1. Gateways of death
2. Gateways of life
3. Gateways of air
4. Gateways of water

Correct answer: 1. Gateways of death

Explanation: Ans. is 'a' i.e., Gateways of death Atria Mortis Also called gateways of death/ deaths portal of entry. It is believed that death enters the body due to stoppage of one of the three organs i. e. heart, lungs, brain; and thus each of these organs is called atria mortis.